A 45-yr-old female complains of progressive lower limb weakness, spasticity, urinary hesitancy. MRI shows intradural enhancing mass lesion. Most likely diagnosis is -
1. Dermoid cyst
2. Intradural lipoma
3. Neuroepithelial cyst
4. Meningioma

Correct answer: 4. Meningioma

Explanation: Among the given options, the only meningioma shows enhancement on contrast scans. "The radiologic image of a dural-based, extra-axial mass with dense, uniform contrast enhancement is essentially diagnostic, although a dural metastasis must also be considered. A meningioma may have a 'dural tail' a streak of dural enhancement flanking the main tumor mass, however, the finding may also be present with other dural tumors." Ref : Harrison, 17/e p2605